Dexmedetomidine is a
1. Centrally acting alpha 2 agonist
2. Peripherally acting alpha2 agonist
3. Centrally acting alpha 2 antagonist
4. Peripherally acting alpha 2 antagonist

Correct answer: 1. Centrally acting alpha 2 agonist

Explanation: Ref: KD Tripathi pharmacology 7th edition (page.no: 384) Dexmedetomidine is a centrally active a2A agonist It is introduced for sedating critically ill/ventilated patients in the intensive care unit. It is used as an adjunct to anaesthesia. Analgesia and sedation are produced with little respiratory depression, amnesia, or anaesthesia